All the statements regarding LDL receptors are true except
1. Present only in the extra hepatic tissue
2. Clathrin coated pits receptor on cell membrane
3. It is taken into the cells by endocytosis
4. Increased cellular cholesterol down regulate the synthesis of LDL receptors

Correct answer: 1. Present only in the extra hepatic tissue

Explanation: from extrahepatic tissues LDL receptors also present in liver(apo B100, E receptors)